Best femoropopliteal bypass graft-
1. PTFE
2. Autologus saphenous vein
3. Dacron
4. None

Correct answer: 2. Autologus saphenous vein

Explanation: Ans. is 'b' i.e., Autologus saphenous vein